WHO defines adolescent age group as
1. 14-21 years
2. 13-20 years
3. 10-19 years
4. 10-17 years

Correct answer: 3. 10-19 years

Explanation: The World Health Organization (WHO) defines an adolescent as any person between ages 10 and 19.